Which of the following is not the part of ethmoid bone?
1. Agger nasi
2. Crista galli
3. Uncinate process
4. Inferior turbinate

Correct answer: 4. Inferior turbinate

Explanation: Ans. d. Inferior turbinateInferior turbinate is not the part of ethmoid bone.`Lateral nasal wall has 3 bony projections called as turbinates or conchae. From below upwards, they are inferior, middle and superior turbinates. The inferior turbinate is a separate bone, while rest of the turbinates are part of ethmoidal labyrinths.'The agger nasi air cells, are the most anterior ethmoidal air cells, lying anterolateral and inferior to the frontoethmoidal recess and anterior and above the attachment of the middle turbinate. They are located within the lacrimal bone and therefore have as lateral relations the orbit, the lacrimal sac and the nasolacrimal duct.'The crista galli is a median ridge of bone that projects from the cribriform plate of the ethmoid bone. It is where the falx cerebri attaches anteriorly to the skull. The olfactory bulbs lie on either side of the crista galli on top of the cribriform plate.'In the ethmoid bone, a curved lamina, the uncinate process, projects downward and backward from this part of the labyrinth; it forms a small part of the medial wall of the maxillary sinus, and articulates with the ethmoidal process of the inferior nasal concha.'